Cresentic Glomerulonephritis may be seen in all of the following, except:
1. Post Streptococcal Glomerulonephritis (PSGN)
2. Henoch Schonlein Purpura (HSP)
3. Anti Basement Membrane Disease
4. Alport Syndrome

Correct answer: 4. Alport Syndrome

Explanation: Alports syndrome is not associated with rapidly progressive Glomerulonephritis or Cresentic Glomerulonephritis. Ref: Robbin's Illustrated Pathology, 7th Edition, Page 977; Harrison's Principles of Internal Medicine, 17th Edition, Page 1785